Which of the following drugs cannot be administered by subcutaneous route?
1. Albuterol
2. Terbutaline
3. Metaproterenol
4. Pirbuterol

Correct answer: 4. Pirbuterol

Explanation: Salbutamol (Albuterol) -A highly selective b2 agonist. Can be given 2-4 mg oral, 0.25-0.5 mg i.m./s.c., 100-200 mg by inhalation. Terbutaline is similar to salbutamol in properties and use. Can be given 5 mg oral, 0.25 mg s.c., 250 mg by inhalation. ORCIPRENALINE (Metaproterenol) -It is less selective than salbutamol. It is given orally (20 mg QID); or IM/SC 0.5-1 mg, and by inhalation So from the above information Albuterol, Terbutaline & Metaproterenol can be given by SC route. ESSENTIAL OF MEDICAL PHARMACOLOGY SEVENTH EDITION KD TRIPATHI PG NO.223 Pharmacology and pharmacotherapeutics Satoskar 24th page no. 579